Which of the following ATT has maximum CSF penetration ?
1. Streptomycin
2. INH
3. Rifampicin
4. Ethambutol

Correct answer: 2. INH